The most virulent plasmodium species causing malaria is:
1. Vivax
2. Ovale
3. Falciparum
4. Malariae

Correct answer: 3. Falciparum

Explanation: Ans. C i.e. Falciparum malaria Plasmodium falciparum It is a protozoan parasite, one of the species of Plasmodium that cause malaria in humans. It is transmitted by the female Anopheles mosquito. Malaria caused by this species (also called malignant or falciparum malaria) is the most dangerous form of malaria, with the highest rates of complications and mortality. Almost every malarial death is caused by P. falciparum